Which of the following directly inhibits insulin secretion?
1. Alpha2-adrenergic agonist
2. Beta2-adrenergic agonist
3. Cholecystokinin
4. Glucagon

Correct answer: 1. Alpha2-adrenergic agonist

Explanation: Alpha 2-receptor agonists directly inhibit pancreatic insulin secretion. Beta2-adrenergic agonists stimulate insulin secretion. Cholecystokinin is a hormone that not only causes gallbladder contraction, but also causes insulin secretion from the pancreas. Pancreatic glucagon release acts as a paracrine stimulus for insulin secretion. Ref: Barrett K.E., Barman S.M., Boitano S., Brooks H.L. (2012). Chapter 25. Overview of Gastrointestinal Function & Regulation. In K.E. Barrett, S.M. Barman, S. Boitano, H.L. Brooks (Eds), Ganong's Review of Medical Physiology, 24e.